Drug not to be given in ishchemic heart disease
1. Atenolol
2. ACE inhibitor
3. Isopreterenol
4. Streptokinase

Correct answer: 3. Isopreterenol

Explanation: Refer kDT 6/e p547 Isopreterenol is a beta adrenergic agonists and is contraindicated in ishchemic heart disease. As it can increase myocardial oxygen demand by causing tachycardia